Most common cause for end tidal CO2 falls due to –
1. Cardiac arrest
2. Extubation
3. Hypothermia
4. Hyperhennia

Correct answer: 2. Extubation

Explanation: Most common cause of fall in ET CO2 is accidental extubation.